All the following indicators are used to measure disability rates in a community except?
1. Sullivan's Index
2. Human Poverty Index
3. Health Adjusted Life Expectancy
4. Disability Adjusted Life Year

Correct answer: 2. Human Poverty Index

Explanation: Ans. is 'b' i.e., Human Poverty Index